All of the following are true regarding LMWH (Low Molecular Weight Heparin) except
1. It has higher and predictable bioavailability
2. It act by inhibiting both factor Ila and factor Xa
3. Monitoring is not required
4. It has more favorable pharmacokinetics

Correct answer: 2. It act by inhibiting both factor Ila and factor Xa

Explanation: Ans. (b) It acts by inhibiting both factor IIa and factor XaRef: KDT 6th ed./ 1599-600* Low molecular weight heparin inhibits only factor Xa whereas unfractionated heparin inhibits both factor Ila and factor Xa.